In an epidemic first to be done is -
1. Identity the cases
2. Confirm the diagnosis
3. Identify The prone people
4. Identify the causative factors

Correct answer: 2. Confirm the diagnosis

Explanation: verification of diagnosis is the first step in the investigation of an epidemic.it is necessary to examine all cases before arriving at a diagnosis.a clinical examination of a sample of cases may suffice.laboratary investigations can also be employed in such way that it is not delaying any of the epidemiological investigations concerned. ref:park's textbook,ed22,pg no 123